Antonie van Leeuwenhoek is associated with?
1. Telescope
2. Microscope
3. Stains
4. Immunization

Correct answer: 2. Microscope

Explanation: ANSWER: (B) MicroscopeREF: Ananthnarayan page 8Known as "Father of Microbiology ", and considered to be the first microbiologist. He is best known for his work on the improvement of the microscope and for his contributions towards the establishment of microbiology. Using his handcrafted microscopes, he was the first to observe and describe single-celled organisms, which he originally referred to as animalcules, and which we now refer to as microorganisms. He was also the first to record microscopic observations of muscle fibers, bacteria, spermatozoa, and blood flow in capillaries (small blood vessels)